Trench fever is caused by which of the following organisms?
1. Rickettssia prowazeki
2. Borrelia recurrentis
3. Rickettssia quintana
4. Tunga penetrans

Correct answer: 3. Rickettssia quintana

Explanation: Frequently asked Rickettssia quintana - Trench fever Rickettssia prowazeki - Epidemic typhus Borrelia recurrentis - Relapsing fever Ref: Park's textbook of Preventive and Social Medicine, 21stedition, page-718